The drug that is NOT useful in congestive heart failure
1. Adrenaline
2. Digoxin
3. Hydrachlohiazide
4. Enalapril

Correct answer: 1. Adrenaline

Explanation: Adrenaline, also known as epinephrine, is a hormone, neurotransmitter, and medication. Adrenaline is normally produced by both the adrenal glands and certain neurons. It plays an important role in the fight-or-flight response by increasing blood flow to muscles, output of the heart, pupil dilation response, and blood sugar level. It does this by binding to alpha and beta receptors. It is found in many animals and some single cell organisms Refer kDT 6/e p493